A new born with 46XX has external genitalia of male, All the following are the possible cause except :
1. Placental aromatase deficiency
2. Maternal androgen adrenal tumor
3. Anti-mullerian hormone deficiency
4. Wnt4 mutation

Correct answer: 3. Anti-mullerian hormone deficiency

Explanation: AMH, anti-mullerian hormone : It is a peptide formed by granulosa cells of primodial follicles It cause mullerian duct regression during male sex differentiation AMH levels reflect the number of growing follicles in the ovary and helps in oocyte maturation and follicular development Low levels of AMH is seen with rise of FSH and E2 levels and also with increasing age of women Ref: D.C.DUTTA'S TEXTBOOK OF GYNAECOLOGY; 6th edition; PG NO:76